An infarct is most frequently is characterized by what type of necrosis?
1. Fatty
2. Caseous
3. Gangrenous
4. Coagulative

Correct answer: 4. Coagulative